Hypochloremia, hypokalemia and alkalosis are seen in:
1. Congenital hypertrophic pyloric stenosis
2. Hirschsprung's disease.
3. Esophageal atresia
4. Jejunal atresia

Correct answer: 1. Congenital hypertrophic pyloric stenosis

Explanation: Ans. is 'a' i.e. Congenital hypertrophic pyloric stenosis Biochemical abnormality in congenital hypertrophic pyloric stenosis is a regular feature of AIIMS and AI examinations it has been repeated several times.The biochemical abnormality seen are:HypokalemiaHypochloremiaAlkalosis andParadoxical aciduriaThis topic has been discussed in detail earlier.